Which of the following drug is known to cause extrapyramidal adverse effects?
1. Metoclopramide
2. Domperidone
3. Cisapride
4. All of the above

Correct answer: 1. Metoclopramide

Explanation: Metoclopramide Domperidone Can cross blood brain barrier Additional action to block 5 HT3 receptors It can cause extra pyramidal symptoms like muscular dystonia It is more strong antiemetic than domperidone Can't cross It doesn't It will not cause Drug of choice for levodopa induced vomiting